The pharyngeal structure established in early age and remain constant throughout life is?
1. Depth of oropharynx
2. Depth of nasopharynx
3. Width of nasopharynx
4. Width of oropharynx

Correct answer: 2. Depth of nasopharynx

Explanation: Multiple recent researches have concluded that the depth of nasopharynx is established during the first 2 years of life and these dimensions remains constant thereafter.
Ref: Graber LW, Vanarsdall RL, Vig KW, Huang GJ. Orthodontics: current principles and techniques.